Child coming with proptosis, multiple skeletal limb secondaries, sutural separation is having -
1. Neuroblastoma
2. Medulloblastoma
3. Retinoblastoma
4. None of the above

Correct answer: 1. Neuroblastoma

Explanation: Ans. is 'a' i.e., Neuroblastoma o Proptosia, bony metastasis and sutural separation (due to skull metastasis) suggest the diagnosis of neuroblastoma.